All are involved in energy metabolism except ?
1. Vitamin B,
2. Vitamin B3
3. Vitamin B7
4. Vitamin B12

Correct answer: 4. Vitamin B12

Explanation: Ans. is 'd' i.e., Vitamin B12 The active forms of five of the B Vitamins participate in the release of energy from carbohydrate, fat and proteins. These five vitamins of Vitamin B group which are involved in energy metabolism are :-Thiamin (Vitamin BI)Riboflavin (Vitamin B2)Niacin (Vitamin B3)Pantothenic acid (Vitamin B5 )Biotin (Vitamin B7 or Vitamin H)